Anticholinergic side effect is:
1. Salivation
2. Dryness
3. GIT motility
4. Sweating

Correct answer: 2. Dryness

Explanation: Ans. (b) DrynessRef. Katzung'a Pharamacology 10th ed. Ch 7* Anti-cholinergic agent/Muscarinic antagonists are the class of drugs which competitively inhibit the effect of acetylcholine at muscarinic receptors. Therefore decreasing secretion from glands leading to DRYNESS.* Anti-cholinergic side-effect can be remembered by this mnemonic:# Hot as hare- increased temperature# Blind as bat- mydriasis# Dry as bone- Dry mouth, dry eye, dry skin# Red as beet- Flushed face# Mad as hatter: DeliriumAlso Know'* Cholinergic agents block acetylcholine esterase enzyme, thereby increasing the acetylcholine level.* The patient therefore will present with cholinergic symptoms: (Mn: SLUDGE)* Salivation, Lacrimation, increased urination, Diarrhea, GI distress, Emesis* DOC for this poisoning: ATROPINE